All are true about liver histology except
1. Portal space contain bile duct, portal vein, & hepatic artery
2. Hepatic lobule is functional unit
3. Zone I is well oxygenated
4. Central vein drains lobule

Correct answer: 2. Hepatic lobule is functional unit

Explanation: B i.e. Hepatic lobule is functional unitPortal canal (space) contains branches of bile duct, portal vein and hepatic artery. The functional unit of liver is acinus. Central portion of acinus (zone 1) is well oxygenated and peripheral (zone 3) is least oxygenated. Liver lobule is liver tissue drained by single branch of central vein.